Opioid tolerance develops to all of the following actions, except:
1. Miosis
2. Analgesia
3. Euphoria
4. Nausea and vomiting

Correct answer: 1. Miosis

Explanation: Ans. is 'a' i.e., Wasis Tolerance is exhibited to most actions of morphine except for miosis and constipation.